Regarding fungal cell wall all are true except:
1. Contains chitin
2. Prevent osmotic damage
3. Azoles act on them
4. Does not contain peptidoglycan

Correct answer: 3. Azoles act on them

Explanation: Ans. c. Azoles act on them